The blood-air barrier consists of all of the following except:
1. Alveolar pores
2. A layer of surfactant
3. Type I alveolar cell cytoplasm
4. Fused basal lamina of alveolar and endothelial cells

Correct answer: 1. Alveolar pores

Explanation: Alveolar pores connect neighboring alveoli and function in equalizing pressure in the alveoli and enable collateral circulation of air. They do not constitute part of the blood-air barrier.